Following are adverse effects of Clofazimine except
1. Skin staining
2. Icthyosis
3. Diarrhoea
4. Gastritis

Correct answer: 4. Gastritis

Explanation: Clofazimine is a brick red, fat-soluble crystalline dye. It has weakly bactericidal action against M. leprae It has an anti-inflammatory effect, which is useful in the management of ENL reactions. High drug concentrations are found in the intestinal mucosa, mesenteric lymph nodes and body fat. The most noticeable side effect is skin discoloration, ranging from red to purple-black The degree of discoloration depending on the dose and amount of leprous infiltration. Urine, sputum and sweat may become pink. Clofazimine also produces a characteristic ichthyosis on the shins and forearms. Gastrointestinal side effects, ranging from mild cramps to diarrhoea and weight loss, may occur as a result of clofazimine crystal deposition in the wall of the small bowel.